Abnormal resorption followed by apposition of bone leaving deeply stained lines, which occurs in Paget's disease. These lines are known as:
1. Reversal lines
2. McGregor lines
3. Campbell's lines
4. None of the above

Correct answer: 1. Reversal lines